Normal saline is used as diluent in which vaccine-
1. Measles
2. Rubella
3. BCG
4. HAV

Correct answer: 3. BCG

Explanation: Ans. is 'c' i.e., BCG BCG vaccineo BCG vaccine is a live attenuated vaccine produced by 'Bacille Calmette Guerin' an avirulent strain produced by 230 subcultures over a period of 13 years,o Types of vaccine - It is a live attenuated vaccine. There are two types of vaccineLiquid (fresh) vaccineFreeze dried (lyophilized) - more stable, currently in use.o Diluent - Normal saline is recommended as a diluent for reconstituting vaccine, as distilled water may cause irritation. The reconstituted vaccine should be used within 3 hours.o Route - Intradermalo Site - Just above the insertion of deltoid (usually left)o Dosage - # Usual strength is 0.1 mg in 0.1 ml# For newborn < 4 weeks, 0.05 ml.o Age of administraton - Either at birth or at 6 weeks of age simultaneous with DPT and polio,o Storage - BCG vaccines are stable for several weeks at ambient temprature in tropical climate, and for upto 1 year. If kept away from direct light and stored in a cool environment. The vaccine must be protected from exposure to light during storage (wrapped up in double layer of red or black cloth),o Duration of protection - 15 to 20 years,o Booster - Not advised under EPL